All the following are seen in asbestosis except
1. Diffuse alveolar damage
2. Calcify pleural plaques
3. Diffuse pulmonary interstitial fibrosis
4. Mesothelioma

Correct answer: 1. Diffuse alveolar damage

Explanation: Diffuse alveolar damage is a characteristic feature of ARDS. As explained in the test asbestosis inhalation associated with pleural plaques, interstial fibrosis bronchogenic carcinoma and mesothelioma Refer robbins 9/e